Tensile strength of wound after laparoscopic cholecystectomy in a 30 years old woman depends upon:
1. Replacement of type 3 collagen
2. Extensive crosslinking of tropocollagen
3. Macrophage activity/invasion
4. Granulation tissue

Correct answer: 2. Extensive crosslinking of tropocollagen

Explanation: The recovery of tensile strength results from the excess of collagen synthesis over collagen degradation during the first 2 months of healing, and, at later times, from structural modifications of collagen fibers (cross-linking, increased fiber size) after collagen synthesis ceases.